Weight of placenta and fetus are equal at:
1. 14 weeks
2. 15 weeks
3. 17 weeks
4. 21 weeks

Correct answer: 3. 17 weeks

Explanation: Ans. is c, i.e. 17 weeksRef Williams Obs 24/e p 95"In the first trimester, placental growth is more rapid than that of the fetus. But by approximately 17 post menstrual weeks, placental and fetal weights are approximately equal" Ref Williams 24/e, p 95